Hyperparathyroidism causes-
1. Multiple bone cysts
2. Subperiosteal bone resorption
3. Brown's tumor
4. All of the above

Correct answer: 4. All of the above

Explanation: Ans. is 'd' i.e., All of the above [Ref Textbook of essentials in orthopaedics p. 1129\Radiological features of primary hyperparathyroidismo X-ray features of primary hyperparathyroidism are : -Irregular, diffuse rarefaction of the bones,Salt pepper appearance : The skull bones show a well-marked stippling, but the opaque areas are small pin head size.Loss of lamina dura: A tooth socket is made up of thin cortical bone seen as a white line surrounding the teeth. This is called the lamina dura. It gets absorbed in hyperparathyroidism.Sub-periosteal resorption of the phalanges is a diagnostic feature of hyperparathyroidism (generalized variety). Resorption may also occur at lateral end of the clavicle.Spine shows central collapse of the vertebral body and biconvex discs.Pelvis and other bones show coarse striations with clear cyst-like spaces.Brown's tumour is an expansile lytic lesion, which appears like a bone tumour, generally affecting the maxilla'' mandible.Extra-osseous radiological features such as renal calculi etc. may be present.